Penetrating injury to NECK is defined as -
1. More than 2 cm deep injury
2. Injury to any internal neck organ
3. Violation of platysma
4. Sharp Instrument

Correct answer: 3. Violation of platysma

Explanation: The synopsis of forensic medicine & toxicology;Dr k.s narayan reddy; 28th edition ; pg.no. 114; A penetration wound is produced when the weapon enters a cavity of body . In penetrating injury to neck there is violation of platysma .